Type 5 Hypersensitivity mimics
1. Type 1
2. Type 2
3. Type 3
4. Type 4

Correct answer: 2. Type 2

Explanation: Ans. is 'b' i.e., Type 2 Type V hypersensitivity reactions were additionally added to the scheme originally described by Coombs and Gell. Contrary to type IV and in agreement with types I, 11 and III respectively, they are mediated by antibodies too. The type V reactions are sometimes considered as a subtype of the type II hypersensitivity. As its mechanisms do not destroy target cells, they are responsible for induction of organ/tissue dysfunctions only most of authors prefer it to be and independent, the 5' type of hypersensitivity reactions